Apoptosis can occur by change in hormone levels in the ovarian cycle. When there is no fertilization of the ovum, the endometrial cells die because :
1. The involution of corpus luteum causes estradiol and progesterone levels to fall dramatically
2. LH levels rise after ovulation
3. Estradiol levels are not involved in the LH surge phenomenon
4. Estradiol inhibits the induction of the progesterone receptor in the endometrium

Correct answer: 1. The involution of corpus luteum causes estradiol and progesterone levels to fall dramatically

Explanation: Ans. is a i.e. The involutlon of corpus luteum causea estradlol and progesterone levels to fall dramatlcally "The withdrawl of estrogen and progesterone initiates important endometrial events, vasoconstriction, the process of apoptosis, fissue loss and tinally menstruation." In the first half of the secretory phase, acid phosphatase and potent lytic enzymes are confined to lysosomes. Their release is inhibited by progesterone stabilisation of the lysosomal membranes. With the involution of corpus luteum, levels of estrogen and progesterone fall, the lysosomalmembranes are not maintained and enzymes are released which cause apoptosis of the endometrial cells.